Example of multiphasic screening is
1. Chest X-ray for TB on large population
2. Annual health check up
3. Pap smear in old females
4. Mammography in all young females

Correct answer: 2. Annual health check up

Explanation: Multiphasic screening: It is the application of two or more screening tests to a large population at one time instead of carrying out separate screening tests for single diseases.Randomised control studies suggested that multiphasic screening has not shown any benefit accruing to the population in terms of mortality and morbidity reduction.